Which of the following is not a good source of vitamin D?
1. Fatty fish
2. Milk
3. Fish liver oils
4. Egg yolk

Correct answer: 2. Milk

Explanation: Good sources of vitamin D include fatty ﬁsh,ﬁsh liver oils, egg yolk etc. Milk is not a good source of  vitamin D.
Reference: Satyanarayana- Biochemistry, 3rd edition, pg-128